Which of the following is true regarding Rheumatoid arthritis -
1. Typically involves small and large joints symmetrically but spares the cervical spine
2. Causes pleural effusion with low sugar
3. Pulmonary nodules are absent
4. Enthesopathy prominent

Correct answer: 2. Causes pleural effusion with low sugar

Explanation: "The typical picture of B/L symmetrical inflammatory polyarthritis involving small joints initially and large joints later on, with sparing of the axial skeleton except the cervical spine is very likely, rheumatoid arthritis".

RA causes pleural effusion with low glucose & pH.
Enthesopathy is not seen in RA.